In CNS, myelin sheath of Neurons is formed by:
1. Astrocytes
2. Oligodendroglia cells
3. Schwann cells
4. All the above

Correct answer: 2. Oligodendroglia cells

Explanation: ANSWER (B) Oligodendroglia cellsREF: Basic histology, Carlos & Jose, 11th edition, Chapter 9. Nerve Tissue 8c the Nervous SystemThe myelin sheath is produced by oligodendrocytes in the central nervous system and by Schwann cells in the peripheral nervous system.